Receptors found in nucleus for all except ?
1. Estrogen
2. Androgen
3. Thyroxine
4. Vitamin -D

Correct answer: 2. Androgen

Explanation: Ans. is 'b' i.e., Androgen Hormones with intracellular receptorsCytoplasmic :- Glucocorticoids (cortisol/cortisone), mineralocorticoids, androgens, progestins.Nucleus :- Estrogen, Thyroid hormones (T3 T4), retinoic acid, Vitamin D (Calcitriol or 1,25 (OH)2 D 2).